Which of following concentration of IV fluid is hypertonic in nature?
1. 5% dextrose
2. 0.45% normal saline
3. 0.9% normal saline
4. 3% normal saline

Correct answer: 4. 3% normal saline

Explanation: 3% saline is a hypertonic fluid. It contains 856 Na+ and 856Cl-. Other examples of hypertonic fluids are 5% NaCl, 5% Dextrose in 0.45% NaCl, 5% Dextrose in 0.9% NaCl, 10% Dextrose in 0.9% NaCl and 5% Dextrose in RL. Isotonic fluids are: Dextrose 2.5% in 0.45% saline Dextrose 5% in 0.2% saline Dextrose 5% in water Ringer's Lactate 0.9% Normal saline Dextran 70% in NS Hypotonic fluid: Sodium chloride 0.45% Ref: Medical-Surgical Nursing: An Integrated Approach By Lois White, 2nd edn, page 198